In which one of the following conditions the sialograph is contraindicated?
1. Ductal calculus
2. Chronic parotitis
3. Acute parotitis
4. Recurrent sialadenitis

Correct answer: 3. Acute parotitis

Explanation: Ans. (c) Acute parotitisRef Bailey 25/e p755Sialography:* Contrast Examination of Salivary glands and DuctsIndication:* Salivary gland stones and stricture* Chronic Sialadenitis* Tumors of salivary glands* Contraindication:* Allergy to contrast* Acute Sialadenitis